Immunity against cancer cells
1. Basophil
2. Eosinophils
3. NK cells
4. Neutrophil

Correct answer: 3. NK cells

Explanation: Ref Robbins 8/EP 188;9/e p192 NK cells kill virus- infected cells and produce the macrophage-activating cyto- kine IFN-g. If the microbes enter the blood, many plasma proteins, including the proteins of the complement system, recognize the microbes and are activated, and their products kill microbes and coat (opsonize) the microbes for phagocytosis. In addition to combating infections, innate immune responses stimulate subsequent adaptive immu- nity, providing signals that are essential for initiating the responses of antigen-specific T and B lymphocytes.